Auditory fatigue occurs at- Hz -
1. 2000
2. 3000
3. 4000
4. 8000

Correct answer: 3. 4000

Explanation: Ans. is 'c' i.e., 4000 Hz